During active labor cervical dilatation per hour in primi is
1. 1.2 cm
2. 1.5 cm
3. 1.7 cm
4. 2 cm

Correct answer: 1. 1.2 cm

Explanation: Active labor: Cervix dilatation to atleast >6 cm Regular uterine contractions are present Rate of dilatation is atleast 1.2 cm/hr for nulliparous and 1.5cm/ hr for parous women